Centenary year for X-ray is:
1. 1995
2. 1999
3. 1997
4. 2001

Correct answer: 1. 1995

Explanation: Ans. 1995